Endoscopic biopsy from a case of H. pylori related duodenal ulcer is most likely to reveal:
1. Antral predominant gastritis
2. Multifocal atrophic gastritis
3. Acute erosive gastritis
4. Gastric atrophy

Correct answer: 1. Antral predominant gastritis

Explanation: Ans. (a) Antral predominant gastritis(Ref: Harrison 18th ed: 2458, 17th ed:1870)The most common cause of chronic gastritis- H. pylori QWithin the stomach, H. pylori are most often found in the antrum - antral predominant gastritis Q or type B gastritis Q